Peribulbar injection is given in-
1. Subtenon space
2. Outside muscle case
3. Periorbital space
4. Subperiorbital space

Correct answer: 2. Outside muscle case

Explanation: It is done in the peripheral space. Peripheral space is bounded peripherally by periorbita and internally by the 4 recti muscles with thin intermuscular septa. Tumors present here produces eccentric proptosis and can usually be palpated. Ref:AK Khurana 6thE pg:403